Leprosy spreads by -a) Skin to skin contactb) Blood transfusionc) Droplet spreadd) Ingestion
1. a
2. bc
3. ad
4. ac

Correct answer: 4. ac